Gemtuzumab ozogamycin is a monoclonal antibody against
1. CD 30
2. CD 33
3. CD 45
4. CD 79a

Correct answer: 2. CD 33

Explanation: It is a monoclonal antibody against CD33, used for CD33+ve AML.